The functions of which vitamin are carried through coenzyme A
1. B5
2. B9
3. B12
4. All of the above

Correct answer: 1. B5